Which of the following is least nephrotoxic -
1. Streptomycin
2. Gentamycin
3. Polymyxin B
4. Doxycycline

Correct answer: 4. Doxycycline

Explanation: Ans. is 'd' i.e., Doxycycline